A 47-year-old woman develops accelerated hypertension (blood pressure 210/105 mm Hg) but no clinical symptoms except frequent headaches. Which of the following findings are most likely on examination of the fundii?
1. retinitis obliterans
2. cotton wool spots
3. retinal detachment
4. optic atrophy

Correct answer: 2. cotton wool spots

Explanation: (b) Source: (Fuster, p. 1541, 1543)Cotton wool spots, hemorrhage, and papilledema are common. Fibrinoid necrosis occurs on the arterioles of many organs. Earlier manifestations of arteriosclerosis include thickening of the vessel wall. This is manifested by obscuring of the venous column at arterial crossings.